Propranolol is contra-indicated in a patient of angina pectoris, when he is already receiving:
1. Nifedipine
2. Isosorbide mononitrate
3. Aspirin
4. Verapamil

Correct answer: 4. Verapamil

Explanation: Verapamil has maximum depressant action on the heart and it causes vasodilation by causing blockade of calcium channel. It is indicated for the treatment of angina, PSVT, hypertension and hypertrophic obstructive cardiomyopathy (HOCM).
Both verapamil and propranolol decrease the conduction through the AV node and their concomitant use can result in heart block.